A patient with nephrotic syndrome on long term cortico-steroid therapy may develop all the following side effects, except:
1. Hyperglycemia
2. Hypertrophy of muscle
3. Neuropsychiatric symptoms
4. Suppression of the pituitary adrenal axis

Correct answer: 2. Hypertrophy of muscle

Explanation: Long term use of coico-steroid result in myopathy.Steroid myopathy develops in most patients between 9th and 12th week of treatment. Myopathy occur secondary to inhibition of protein synthesis and increased protein catabolism. It has a subacute onset and is characterized by weakness and wasting in pelvifemoral muscles especially quadriceps, and may eventually spread to the pectoral girdle, neck and trunk. Muscle pain is not a feature and tendon reflexes are preserved. Ref: Textbook of Therapeutics: Drug and Disease Management, 8th Edition, Page 978 ; Cancer of the Nervous System By Peter McL. Blac, 2nd Edition, Page 247